ICMR delhi and NIV pune has developed an ELISA kit for COVID 19 antibody detection test known as :
1. Nishchay ELISA
2. Aarogya ELISA
3. Chhaya ELISA
4. Kavach ELISA

Correct answer: 4. Kavach ELISA

Explanation: Kavach ELISA Indigenous ELISA Developed by isolating virus from indian individual. Will be used for surveillance purpose. Sero-Surveillance to be undertaken in 24000 people in 69 districts of the country. Surveillance at household level. It's just a survillence kit , diagnosis will still be done by RT-PCR test.